What is the partial pressure of oxygen at 760mmHg atmospheric pressure?
1. 76
2. 160
3. 120
4. 130

Correct answer: 2. 160

Explanation: The pressure of a gas is proportional to its temperature and the number of moles per volume. P= n/V, where, n= number of moles P= Pressure R = Gas constant T= Absolute temperature V= Volume The pressure exerted by one gas in a mixture of gases is equal to the total pressure times the fraction of the total amount of gas it represents. The partial pressure of oxygen in dry air is therefore 0.21 x 760= 160 mm of Hg at sea level. Ref: Ganong, 23rd Ed, Page 588